Which of the following compounds is an analogue of hypoxanthine?
1. Arabinoside C
2. Allopurinol
3. Ribose phosphate
4. 5-phosphoribosylpyrophosphate (PRPP)

Correct answer: 2. Allopurinol

Explanation: Allopurinol acts on purine catabolism, without disrupting the biosynthesis of purines. It reduces the production of